Incision of which fibres of PDL doesn't increase mobility of tooth:
1. Oblique fibres
2. Alveolar crest fibres
3. Apical fibres
4. Transeptal fibres.

Correct answer: 2. Alveolar crest fibres